Radio frequency waves are used in which of the following imaging modality?
1. PET scan
2. MRI
3. CT
4. Ultrasound

Correct answer: 2. MRI

Explanation: *MRI is based on Gyromagnetic property of protons. *MRI uses Non-ionizing radiation i.e. Radiofrequency waves. *USG is also Non-ionizing but uses UltraSound waves. *PET scan uses Gamma rays. *CT scan uses X rays.